Ecthyma gangrenosum is caused by -
1. Pseudomonas
2. Streptococcus
3. Staphylococcus
4. H. influenzae

Correct answer: 1. Pseudomonas